All of the following are true for torsion of testes EXCEPT:
1. Trauma to testes
2. Due to twisting of spermatic cord w.r.t. tunica vaginalis
3. Cough on impulse positive
4. Intravaginal torsion is commoner

Correct answer: 3. Cough on impulse positive

Explanation: Ans. C i.e. Cough on impulse positive